The recommended anti-microbial prophylaxis in adults for influenza A is
1. Penicillin
2. Erythromycin
3. Rifampicin
4. Oseltamivir

Correct answer: 4. Oseltamivir